A wedge shaped area in the adrenal gland is affected. On HPE nucleus is not seen but cellular outlines are intact. Which type of necrosis is being described?
1. Coagulative
2. Liquefactive
3. Fibrinoid
4. Caseous

Correct answer: 1. Coagulative

Explanation: Ans- Coagulative necrosis -Most common type of necrosis seen histologically -A localized area of coagulative necrosis is called an infarct. Ex: - Ischemia to all solid organs except BRAIN. Thermal injury Dry gangrene Zenker's degeneration (muscle necrosis in typhoid fever).